Most characteristic feature of lichen planus is –
1. Thinning of nail plate is most common
2. Non scarring alopecia
3. Violaceous lesions on skin and mucous membrane
4. Wickham striae

Correct answer: 4. Wickham striae

Explanation: Wickham's stria is characteristic for Lichen planus.
Violaceous lesions are seen on skin (not on mucosa).